Little old lady's hernia is also know as
1. Femoral hernia
2. Incisional hernia
3. Obturator hernia
4. Inguinal hernia

Correct answer: 3. Obturator hernia